Purest water is
1. River water
2. Rain water
3. Deep well
4. Impounding reservoir

Correct answer: 2. Rain water

Explanation: Rainwater by nature is purest and soft. it gets contaminated when passing through the atmosphere by dust and microorganisms Park's Textbook of Preventive and Social Medicine, 25th edition, Page No. 767